ASHA is not a depot holder of:-
1. ORS
2. IFA
3. Contraceptives
4. OPV

Correct answer: 4. OPV

Explanation: - ASHA act as a depot holder for essential provisions like: ORS IFA tablets Chloroquine Disposable delivery kit OCPs & condoms . - ASHA also carry a Drug kit (AYUSH + Allopathic drugs). - Hence, option-4 is the answer.